Although more than 400 blood groups have been identified,the ABO blood group system remians the mostimpoant in clinical medicne because :
1. It was the first blood group system to be discovered
2. It has four different blood groups A,B, AB, O (H).
3. ABO(H) antigens are present in most body tissues and fluids.
4. ABO(H) antibodies are invariably present in plasma when persons RBC lacks the corresponding antigen

Correct answer: 4. ABO(H) antibodies are invariably present in plasma when persons RBC lacks the corresponding antigen

Explanation: . ABO(H) antibodies are invariably present in plasma when persons RBC lacks the corresponding antigen